Corpulence index means:
1. Measurement of obesity
2. Measurement of copper level in serum.
3. Measurement of iron losses in faeces
4. Pressure difference between the chambers of heart

Correct answer: 1. Measurement of obesity

Explanation: Measurement of obesity